The disease for which vaccination certificate is required for international travel is -
1. Cholera
2. Hepatitis
3. Yellow fever
4. Tetanus

Correct answer: 3. Yellow fever

Explanation: All travellers including infants exposed to the risk of yellow fever or passing through an endemic zones of yellow fever should possess a valid international certificate of vaccination against yello fever before they are allowed to enter yellow fever receptive areas. Reference; Park's Textbook of preventive and social medicine, 24th edition.Pg no. 301